Bacteriostatic anti - TB drug is
1. Pyrazinamide
2. INH
3. Rifampin
4. Ethambutol

Correct answer: 4. Ethambutol

Explanation: Ans. is 'd' i.e., Ethambutol All first line drugs are tuberculocidal except ethambutol which is tuberculostatic:* Tuberculocidal: Rifampin, INH, streptomycin, pyrazinamide.* Tuberculostatic : Ethambutol, PAS, cycloserine, thioacetazone.